Weight transmission from upper limb to axial skeleton is done by
1. Costoclavicular ligament
2. Coracoacromial ligament
3. Coracoclavicular ligament
4. Interclavicular ligament

Correct answer: 1. Costoclavicular ligament

Explanation: Ligaments involved in weight transmission connect one bone with the next bone, in line of weight transmission. Costoclavicular ligament transfers the weight of upper limb to axial skeleton.Coracoclavicular ligament transfer the weight of upper limb to clavicle bone.Note: Coracoacromial ligaments attach to bone scapula at different points and is not attached to the previous or next bone in line of weight transmission. They do not help in weight transmission.